Vaccine prepared by embryonated Hen's egg are
1. Measles
2. Rabies
3. Rubella
4. Varicella

Correct answer: 2. Rabies

Explanation: Ans. is 'b' i.e., Rabies . Vaccines prepared in embrvonated Hen's ettg : - Influenza (grown in allantoic cavity) - Rabies - Yellow fever - Mumps . Vaccines from Duck eeg - Non neural rabies vaccine